Which of the following organ is usually the first site of metastasis in a case of osteosarcoma of young female?
1. Kidneys
2. Lungs
3. Liver
4. CNS

Correct answer: 2. Lungs

Explanation: Lung is the earliest site for metastasis in osteosarcoma. A chest X-ray should be done to detect the same. CT scan may be required in cases where the metastatic lesion is unclear on chest X-ray. Reference: Maheshwari; Essential Orthopaedics; Page no: 240